Degeneration of the myomata is more likely to start from :
1. Centre
2. Periphery
3. From any portion
4. None of these

Correct answer: 1. Centre

Explanation: Centre